The most predictive and dangerous side effect of propranolol that makes it to be avoided in known patient of COPD is induction of :
1. Respiratory failure
2. Acute asthmatic attack
3. Glaucoma
4. Pleural effusion

Correct answer: 2. Acute asthmatic attack

Explanation: Answer is B (Acute Asthmatic Attack) " Propanalol worsens chronic obstructive lung disease. It can precipitate life threatening attack of Bronchial Asthma as it increases Bronchial resistance by Blocking 2 receptors" - KDT Drugs most commonly associated with the induction of acute episodes of Asthma Aspirin g Beta adrenergic blockers Q Colouring agents such as tarazine Sultiting agents.